Paracusis willis is feature of -
1. Tympanosclerosis
2. Otosclerosis
3. Meniere's disease
4. Presbyacusis

Correct answer: 2. Otosclerosis